Two identical twins will not have same:
1. Fingerprints
2. Iris color
3. DNA
4. Blood group

Correct answer: 1. Fingerprints

Explanation: Ans. Fingerprints